The mandible grows longer by apposition of new bone on the posterior surface of
1. Coronoid process
2. Condyle
3. Ramus
4. Symphysis

Correct answer: 3. Ramus